Thrombolytics can provide relative mortality reduction in the treatment of acute myocardial infarction, if patient comes within:
1. 6 hours
2. 12 hours
3. 18 hours
4. 24 hours

Correct answer: 2. 12 hours

Explanation: Ans. (B) 12 hours(Ref: Harrison 18/e p2027)Thrombolytic drugs should be given within 12 hours after onset of acute MI and within 3 hours of acute strocke.